Putting profit ahead of health as a cause of disease is provided by which theory of Sac iolou -
1. Feminist
2. Parsonian
3. Marxist
4. Foucauldian

Correct answer: 3. Marxist

Explanation: Ans. is 'c' i.e., Marxist